Distribution of blood flow is mainly regulated by the:
1. Arteries
2. Arterioles
3. Capillaries
4. Venules

Correct answer: 2. Arterioles